In a study in UK, an association was found between sale of antiarrythmic drug and an increase in deaths due to asthma. This is an example of-
1. Ecological study
2. Cohort study
3. Case reference study
4. Experimental study

Correct answer: 1. Ecological study